Which cell is not seen in Hodgkin lymphoma -
1. Reed sternberg cell
2. Lacunar cell
3. L & H cell
4. Langerhan cell

Correct answer: 4. Langerhan cell